Central nervous system manifestation in chronic renal failure are result of all of the following, except:
1. Hyperosmolarity
2. Hypocalcemia
3. Acidosis
4. Hyponatremia

Correct answer: 2. Hypocalcemia

Explanation: Answer is B (Hypocalcemia): 'The total plasma calcium concentration in CRF patient is significantly low. Patient with chronic renal disease tolerate the hypocakemia quite ;veil and rarely is a patient symptomatic from the decreased calcium concentration. This may be partly due to concomitant acidosis.' - Harrison Hyponatremia, acidosis and hyper osmolarity can lead to various CNS manifestation as lethargy, altered mentation, seizure, coma, and paralysis etc.